Medial wall of the orbit is formed by all of the following except
1. Frontal process of maxilla
2. Orbital plate of frontal bone
3. Orbital plate of ethmoid bone
4. Small part of the body of the sphenoid

Correct answer: 2. Orbital plate of frontal bone

Explanation: The medial wall of the orbit is the thinnest is formed by 4 bones; from before backwards, these are frontal process of maxilla, lacrimal process of maxilla, orbital plate of ethmoid, and body of sphenoid.Reference: Textbook of anatomy, Head Neck, and Brain, Vishram Singh, 2nd edition, page no.282